Maximum score for Mini-Mental Status Examination of Folstein is
1. 30 points
2. 24 points
3. 20 points
4. 9 points

Correct answer: 1. 30 points

Explanation: (A) 30 points > MINI-MENTAL STATE EXAMINATION (MMSE) OR FOLSTEIN TEST is a brief 30-point questionnaire test that is used to screen for cognitive impairment. It is commonly used in medicine to screen for dementia. It is also used to estimate the severity of cognitive impairment at a given point in time and to follow the course of cognitive changes in an individual over time, thus making it an effective way to document an individual's response to treatment.CATEGORYPOSSIBLE POINTSDESCRIPTIONOrientation to time5From broadest to most narrow. Orientation to time has been correlated with future declineOrientation to place5From broadest to most narrow. This is sometimes narrowed down to streets, and sometimes to floor.Registration3Repeating named promptsAttention and calculation5Serial sevens, or spelling "world" backwardsIt has been suggested that serial sevens may be more appropriate in a population where English is not the first language.Recall3Registration recallLanguage2Name a pencil and a watchRepetition1Speaking back a phraseComplex commands6Varies> Interpretation: Any score greater than or equal to 25 points (out of 30) is effectively normal (intact). Below this, scores can indicate severe (=9 points), moderate (10-20 points) or mild (21-24 points). The raw score may also need to be corrected for educational attainment and age. Low to very low scores correlate closely with the presence of dementia, although other mental disorders can also lead to abnormal findings on MMSE testing. The presence of purely physical problems can also interfere with interpretation if not properly noted; for example, a patient may be physically unable to hear or read instructions properly, or nay have a motor deficit that affects writing and drawing skills